Hirschsprung disease is confirmed by ?
1. Rectal biopsy
2. Per/Rectal examination
3. Rectal manometry
4. X-ray abdomen

Correct answer: 1. Rectal biopsy

Explanation: Ans. is 'a' i.e., Rectal biopsyo Rectal suction biopsy is procedure of choice.